Exacerbation of existing skin lesions is characteristic of
1. Lucio reaction
2. Erythema nodosum leprosum
3. Type 1 lepra reaction
4. Jarisch hexhiemer reaction

Correct answer: 3. Type 1 lepra reaction

Explanation: Type 1 leropsy reaction is characterised by exacerbation of preexisting lesions.there will be erythema , odema, tenderness over the previous leprosy patches. Sometimes lesions may ulcerate in severe type 1 reaction iadvl textbook of dermatology page 2046